Regarding testicular tumour, the following are false except
1. They are commonest malignancy in older men
2. Seminomas are radiosensitive
3. Only 25% of stage 1 teratomas are cured by surgery alone
4. Chemotherapy rarely produces a cure with metastatic lesions

Correct answer: 2. Seminomas are radiosensitive

Explanation: Seminomas are well known to be one of the most radiosensitive tumors About other options Option (a) : Commonest malignancy in older males is - Prostate cancer Option (c) : Stage I Nonseminomas (including teratomas) are t/t by surgery alone and show a high cure rate (>95%) Option (d) : Chemotherapy shows a good response in advance stage testicular tumors.